Neutral amino acid is -
1. Aspartate
2. Arginine
3. Glycine
4. Histidine

Correct answer: 3. Glycine

Explanation: Ans. is 'c' i.e., Glycine Neutral amino acidsAcidic amino acidsBasic amino acidsAlanineAspartic acid (aspartate)ArginineAspargingGlutamic acid (glutamate)HistidineCysteineGlycineGlutaminelsoleucineLeucineMethionineProlinePhenylalanineSerineThreonineTyrosineTryptophanValine Lysine